Radial keratoneuritis is a feature of:
1. Acanthamoeba keratitis
2. Herpes zoster keratitis
3. Neuroparalytic keratitis
4. All of the above

Correct answer: 1. Acanthamoeba keratitis

Explanation: Ans. Acanthamoeba keratitis